Period of cornmunicability of measles is-
1. 3 days before and 10 days after appearance of rashes
2. 3 weeks after appearance of rashes
3. I week before appearance of rashes
4. 4 days before and 5 days after appearance of rashes

Correct answer: 4. 4 days before and 5 days after appearance of rashes

Explanation: Ans. is 'd' i.e., 4 days before and 5 days after appearance of rashes t Ref: Park 24th/e p. 157; Community Medicine with Recent by Suryakantha 4th/e p. 328]Chicken pox : 1 - 2 days before to 4 - 5 days after appearance of rash.Measles : 4 days before to 5 days after appearance of rash.Rubella : 7 days before symptoms to 7 days after appearance of rash.Mumps : 4 - 6 days before symptoms to 7 days thereafter.Influenza : 1 - 2 days before to 1 - 2 days after onset of symptoms.Diphtheria : 14 - 28 days from disease onset.Pertussis : 7 days after exposure to 3 weeks after paroxysmal stage.